All of the following statements about hereditary hemochromatosis are true, except:
1. Arthropathy involving small joints of hands may be seen
2. Skin pigmentation is a frequent presentation
3. Desferoxamine is the treatment of choice
4. Hypogonadism may be seen

Correct answer: 3. Desferoxamine is the treatment of choice

Explanation: The therapy of hemochromatosis involves removal of excess iron and supportive treatment of damaged organs. Iron removal is best begun weekly or twice weekly phlebotomy of 500ml. When the transferin saturation and ferritin level become normal, phlebotomies are performed at appropriate intervals to maintain levels within the normal range. Chelating agents such as deferoxamine when given parenterally remove 10 to 20 mg iron per day, which is much less than that mobilized by once-weekly phlebotomy. Phlebotomy is also less expensive more convenient, and safer for most patients. However chelating agents are indicated when anaemia or hypoproteinemia is severe enough to preclude phlebotomy. So chelating agents are not the first line of treatment for hemochromatosis and only indicated in special situations such as anemia or hypoproteinmeia. So the single best answer of choice for the question is desferoxamine is the treatment of choice. Ref: Harrison's Principles of Internal Medicine, 16th Edition, Pages 2298-2303